Classical triad of global confusion, ataxia and ophthalmoplegia is seen in
1. Alzheimer's disease
2. Delerium tremors
3. Wernicke's encephalopathy
4. Korsakoff psychosis

Correct answer: 3. Wernicke's encephalopathy

Explanation: Wernicke's encephalopathy is an acute reaction to a severe deficiency of thiamine, the commonest cause being chronic alcohol use. Important clinical signs: Ocular signs- coarse nystagmus and ophthalmoplegia with bilateral external rectus paralysis occurring early. Higher mental function disturbances-disorientation, confusion, recent memory disturbances, poor attention span and distractibility are quite common. Other early symptoms are apathy and ataxia (Ref: a short textbook of psychiatry, Niraj Ahuja, 7th edition, pg no.38)